All are antiplatelet drugs Except :
1. Aspirin
2. Clopidogrel
3. Dipyridamole
4. Warfarin

Correct answer: 4. Warfarin